Glycosyl transferase of 0-glycosylation is found in
1. RER
2. SER
3. Golgi
4. Lysosome

Correct answer: 3. Golgi

Explanation: C i.e. Golgi